Drugs that should be avoided in G-6-PD deficiency are
1. Nalidixic acid
2. Dapsone
3. Sulfamethoxazole
4. All of the above

Correct answer: 4. All of the above

Explanation: G-6-PD deficiency is responsible for hemolysis with primaquine and other oxidizing drugs like sulfonamides, dapsone, quinine, nalidixic acid, nitrofurantoin, and menadione, etc. Ref ;KD Tripathi Pharmacology 7th edition (page no; 65)